In case of deaths due to asphyxia, the part which should be dissected last is:
1. Neck
2. Thorax
3. Abdomen
4. Skull

Correct answer: 1. Neck

Explanation: A i.e. Neck In cases of death due to asphyxia, especially in hanging & strangulation, neck should be opened lastQ, so as to provide a clear field devoid of blood during dissection thus avoiding artificial haemorrhages. - In these cases, skull is opened first and brain is taken out to drain out the blood from neck. And chest organ is removed prior to neck dissection to avoid injuries to neck veins.